Steeglitz pliers is
1. Used to contour matrix bands
2. Used to hold the silver point
3. Used to remove roots during hemisection
4. Used to place rubber dam clamp on the tooth

Correct answer: 2. Used to hold the silver point